Which of the following bacteria cause the intracellular accumulation of high levels of C -AMP?
1. Vibrio cholera
2. Staphyloccus aureus
3. L-coh heat stable
4. Salmonella

Correct answer: 1. Vibrio cholera

Explanation: After reaching small bowel vibrio cholerae produces cholera toxin, which consists of A and B subunit. The B subunit binds to GM1 ganglioside, making possible the delivery of the A subunit to its cytosolic target. The ultimate result is the prolonged activation of C-AMP resulting in intracellular accumulation of high levels of cyclic AMP. Ref: Textbook of Microbiology & Immunology, Parija, 2009 Edition, Page 310 & 311;Textbook of Microbiology, Ananthanarayan and Paniker, 7th Edition, Page 310;Harrisons Principles of Internal Medicine, 16th Edition, Page 910.